Type III Budd Chiari syndrome refers to:
1. Obstruction of IVC with or without secondary hepatic vein occlusion
2. Obstruction of major hepatic veins
3. Obstruction of the small centrilobular venules
4. None of the above

Correct answer: 3. Obstruction of the small centrilobular venules

Explanation: Budd-Chiari syndrome is a manifestation of hepatic venous outflow obstruction that was first described by George Budd in 1845. Primary Budd-Chiari syndrome -obstruction of the hepatic venous outflow tract is the result of an endoluminal venous lesion (thrombosis or web) Secondary when the obstruction results from the presence in the lumen of material not originating from the venous system or from extrinsic compression by a neighboring tumor. MUST KNOW: Classification of BCS According to the Level of Obstruction Type I - Obstruction of IVC with or without secondary hepatic vein occlusion Type II - Obstruction of major hepatic veins Type III - Obstruction of the small centrilobular venules (considered by some as veno-occlusive disease). Ref: J Ultrasound Med 2006; 25:373-379.